Glycosphingolipids made up of
1. Glucose
2. Sphingosine
3. Fatty acids
4. All of these

Correct answer: 4. All of these

Explanation: Glycosphingolipid is made up of ceramide (sphingosine + fatty acid) and sugar (glucose or galactose).